Letterer-seiwe disease is a disturbance of
1. Protein metabolism
2. Histiocytic disorder
3. Mucopolysaccharide metabolism
4. Carbohydrate metabolism

Correct answer: 2. Histiocytic disorder